which of the following drug can worsen angina:
1. Thyroxine.
2. Dipyridamole.
3. Sumatriptan.
4. All of the above.

Correct answer: 4. All of the above.

Explanation: Dipyridamole results in coronary steal phenomenon.Thyroxine cause tachycardia. Sumatriptan cause coronary vasoconstriciton. Hence all these drugs worsen the angina